True regarding vulval cancer is all except:
1. HPV virus is a causative factor
2. Iliac group of nodes are primary site of metastasis
3. Smoking is a risk factor
4. Vulvectomy is the treatment for Bowen's disease

Correct answer: 2. Iliac group of nodes are primary site of metastasis

Explanation: Ans. is 'b' i.e., Iliac group of nodes are primary site of metastasis o Has been explained in previous sessions